CML is characterised by all except -
1. Leukocytosis
2. Thrombocytosis
3. Increased Leukocyte alkaline Phosphatase
4. Increased serum Vitamin B
12

Correct answer: 3. Increased Leukocyte alkaline Phosphatase